Shortest acting mydriatic drug is:
1. Betamethasone
2. Atropine
3. Pilocarpine
4. Tropicamide

Correct answer: 4. Tropicamide

Explanation: Ans. D i.e. Tropicamide